A bilipid layer is most permeable to -
1. Potassium
2. Sodium
3. Glucose
4. Urea

Correct answer: 4. Urea

Explanation: Ans-DThe lipid bilayer is impermeable to most water-soluble molecules.Lipid soluble molecules readily enter the cellsMolecules that move rapidly through a given membrane (lipid bilayer) are said to have a high Permeabilitycoefficient: - as followsFig.: Permeability coefficients of water, some ions, and other small molecules in lipid bilayer membranes.Molecules that move rapidly through a given membrane are said to have high permeability coefficient.Now it is clear from above that, urea is more permeable > Glucose> K+> Na+